Term Juvenile periodontitis was given by:
1. Wearbaug
2. Glickman
3. Chaput and Buttler
4. Gottlib

Correct answer: 3. Chaput and Buttler